Eye movements in fetus begins from
1. 6 to 9 weeks
2. 11 to 14 weeks
3. 16 to 18 weeks
4. 28 to 32 weeks

Correct answer: 3. 16 to 18 weeks

Explanation: 16th Gestational WeekThe fetal crown-rump length is 12 cm, and the weight is 110grams. By 14 weeks, gender can be determined by experienced observers by inspection of the external genitalia. Eye movements begin at 16 to 18 weeks, coinciding with midbrain maturation.Reference: William's Obstetrics; 24th edition; Chapter 7; Embryogenesis and Fetal Morphological Development